Global warming, which is true:
1. CO2 is the major green house gas
2. Stratosphere ozone layer is harmful
3. CFC increases the zone of stratosphere
4. KYOTO protocol set the target of net reduction of 20 green house gas emission

Correct answer: 1. CO2 is the major green house gas

Explanation: CO2 is the major green house gas